Thyroglossal cyst can be found at:
1. Beneath the hyoid.
2. In the region of thyroid cartilage.
3. Opposite cricoid cartilage.
4. All of the above.

Correct answer: 4. All of the above.